Most common age group to suffer from T. Cruris
1. Infant
2. Male child
3. Adult male
4. Adult female

Correct answer: 3. Adult male

Explanation: C i.e. Adult male